Below …………………………. pressure, CSF absorption stops -
1. 60 mm CSF
2. 68 mm CSF
3. 80 mm CSF
4. 50 mm CSF

Correct answer: 2. 68 mm CSF

Explanation: Below a pressure of approximately 68 mmH2O, absorption stops.